The patient with oro-cutaneous hamartomatous tumours, gastrointestinal polyps, abnormalities of the breast, thyroid gland and genitourinary system is suffering from which of the following?
1. Familial adenomatous polyposis
2. Cowden's syndrome
3. Peutz Jeghers' syndrome
4. Juvenile polyposis

Correct answer: 2. Cowden's syndrome

Explanation: Cowden's syndrome or multiple hamartoma syndrome is a rare autosomal dominant syndrome characterised by orocutaneous hamartomatous tumours, gastrointestinal polyps, abnormalities of the breast, thyroid gland and genitourinary system. The gastrointestinal polyps are generally benign and malignant transformation is seen very rarely. Ref: Harrisons Principles of Internal Medicine, 18th Edition, Page 3384